In-situ DNA nick end labeling can quantitate ?
1. Fraction of cells in apoptotic pathways
2. Fraction of cells in S phase
3. p53 gene produce
4. bcr/abl gene

Correct answer: 1. Fraction of cells in apoptotic pathways

Explanation: Ans. is 'a' i.e., Fraction of cells in apoptotic pathways In-situ DNA nick and labelling o DNA breaks can be detected by terminal deoxynucleotidyl-transferase-mediated deoxyuridine triphosphate in situ nick end-labeling (TUNEL). o Apoptosis is currently one of the most intensively researched areas of science, and numerous ways exist to measure the process. Among the morphological, biochemical and molecular changes occurring in the dying cells, DNA fragmentation is widely recognized as a hallmark of apoptosis, and its detection is the most common analysis for identifying Apoptosis. o Cleaved chromosal DNA of apoptosis can be detected by in situ DNA nick end-labeling. Caution : One has to keep in mind that these methods are based on the detection of DNA strand breaks. There are rare situations when apoptosis is induced without DNA degradation. Conversely. extensive DNA degradation, even specific to the internucleosomal linker DNA, may accompany necrosis. Thus, one should always use another independent assay, along with the TUNEL method, to confirm and characterize apoptosis.